Ductus arteriosus is derived from which aortic arch?
1. II
2. IV
3. V
4. VI

Correct answer: 4. VI

Explanation: On the right side, the proximal part of sixth aortic arch becomes the proximal segment of the right pulmonary artery. The distal portion of this arch loses its connection with the dorsal aorta and disappears. On the left, the distal part persists during intrauterine life as the ductus arteriosus. Ref: Langman's embryology 11th edition Chapter 12.